IOC for ureteric stone with acute colic:
1. USG
2. X-ray KUB
3. Contrast CT
4. Non contrast CT

Correct answer: 4. Non contrast CT

Explanation: Ans. D i.e. Non contrast CT Renal calculi MC stones: Calcium stones (75-85%) Radiolucent stones: Uric acid Stones MC in men: Calcium Renal calculi overlies spine in lateral view Deitel's crisis: - Renal colic, - Swelling in loin & - Disappearance of swelling with micturation Pain in ureteric calculi is due to ureteric peristalsis Stones MC in females: Struvite stones Stones MC in UTI with urease producing bacteria (proteus spp.): Struvite stones Stone which grows in alkaline urine: Struvite stones Stone which grow in infected urine: Struvite stone Stone hard to break in ESWL: Cysteine stones